Intermediate host of Toxoplasma are all except -
1. Human
2. Sheep
3. Cat
4. Pig

Correct answer: 3. Cat

Explanation: Cat and felines-definite host Only the asexual forms,trophozoites and tissue cysts are found in other animals including humans and birds which act as intermediate host(refer pgno:64 baveja 3 rd edition)